All of the following movements occur during abduction of shoulder, except?
1. Elevation of humerus
2. Axial rotation of clavicle
3. Medial rotation of scapula
4. Acromioclavicular joint movement

Correct answer: 3. Medial rotation of scapula

Explanation: Abduction of shoulder is associated with lateral rotation of scapula.